How does root caries appear in cross section?
1. Rhomboidal
2. U shaped
3. V shaped
4. Inverted V shaped

Correct answer: 2. U shaped

Explanation: Root caries: U shaped
Pit and fissure caries: Inverted V shaped
Smooth surface caries: triangular/ cone shaped